Alkalinization of urine is required for decreasing the poisoning due to:
1. Barbiturates
2. Amphetamine
3. Alcohol
4. Morphine

Correct answer: 1. Barbiturates

Explanation: Ans. (A) Barbiturates(Ref: KDT 8th/e p37)For acidic drug poisonings (like barbiturates, salicylates and methotrexate), urinary alkalinizing agents are prescribed whereas for basic drug poisonings, (morphine, amphetamine, atropine etc.) urinary acidifying agents are administered.